Which pathogens adhere to respiratory epithelium-
1. RSV
2. Influenza
3. Parainfluenza
4. All

Correct answer: 4. All

Explanation: Ans. is 'a' i.e., RSV; 'b' i.e., Influenza; 'c' i.e., Parainfluenza Viral adherence . In order for host infection to occur, a virus must first attach (adhere) to and enter cells of one of the body surfaces - respiratory tract, GIT, skin, urogenital tract or conjuctiva. . Viruses infecting respiratory tract : - Parvovirus - Togavirus - Adenovirus - Coronavirus - Herpesvirus (EBV, HSV) - Orthomyxovirus (Influenza) - Picornavirus (Rhinovirus) - Paramyxovirus (Parainfluenza, RSV)